Hand over mouth exercise (HOME) is an effective behavioral modification technique in the age group of:
1. 3 to 6 years
2. Under 3 years
3. 6 to 9 years
4. Above 9 years

Correct answer: 1. 3 to 6 years